5-Nucelotidase activity is increased in:
1. Bone diseases
2. Prostate cancer
3. Chronic renal failure
4. Cholestatic disorders

Correct answer: 4. Cholestatic disorders